"Lardaceous spleen" is due to deposition of amyloid in:
1. Sinusoids of red pulp
2. White pulp
3. Penicillary artery
4. Splenic trabeculae

Correct answer: 1. Sinusoids of red pulp

Explanation: Sinusoids of red pulp